Mother of a 10 year old male child is concerned that he appears smaller than other boys of his age. Intraoral examination reveals that the patient is in his mixed dentition stage. Permanent incisors and 1st molars are found to be present. Mandibular permanent canines are erupting and maxillary deciduous molars are present. Physical growth status of a child may vary from the chronologic age in many children, but it correlates well with skeletal age. Which is the best radiographic analysis to ascertain the skeletal age of this patient?
1. Witt’s analysis
2. Demirjian’s system
3. Steiner’s analysis
4. Fishman’s index

Correct answer: 4. Fishman’s index

Explanation: FISH MAN'S SKELETAL MATURITY INDICATORS
Keonord S Fishman proposed a system for evaluation for skeletal maturation in 1982, Fishman made use of four anatomical sites located on the thumb, third finger, fifth finger and radius. 
Note:

Witt’s and Steiner’s analysis are cephalometric analysis and not a method to analyze skeletal age. 
Demirjian’s system is a method of analysing dental age and not skeletal age.